Clinical goal for prevention of coronary heart disease aims at lowering the ratio of cholesterol/ HDL below:
1. 1.5
2. 2.5
3. 3.5
4. 4.5

Correct answer: 3. 3.5

Explanation: Ans. C: 3.5 A ratio of less than 3.5 has been recommended as a clinical goal for CHD prevention Total cholesterol Desirable: less than 200 milligrams (preferably 180) Borderline: 200-239 milligrams High: 240 milligrams and above LDL cholesterol Desirable: less than 130 milligrams Borderline-high: 130-159 milligrams High: 160 milligrams or above HDL cholesterol Low: less than 35 milligrams Desirable: 50 or above Heart healthy numbers: Triglycerides: under 150 mg. Cholesterol: under 200 LDL: under 130 HDL: above 50 Cholestrol/HDL: <3.5